Nerve least likely to be involved in Herpes Zoster Opthalmicus is:
1. Chorda Tympani
2. Infraorbital
3. Nasociliary
4. Lacrimal

Correct answer: 1. Chorda Tympani

Explanation: Chorda Tympani